True about endotoxin ?
1. Protein
2. Highly antigenic
3. No enzymatic activity
4. Produced by gram positive bacteria

Correct answer: 3. No enzymatic activity

Explanation: Ans. is 'c' i.e., No enzymatic activity